Prospective screening is done in case of?
1. neonate for thyroid disease
2. Immigrant screening
3. Pap smear for 45 yr female
4. Diabetes mellitus for 4oyr male

Correct answer: 2. Immigrant screening

Explanation: ref : park 21st ed